Rinne's test negative is seen in:
1. Presbycusis
2. CSOM
3. Labyrinthitis
4. Meniere's disease

Correct answer: 2. CSOM

Explanation: Ans. is b i.e. CSOM